Advantage of single chamber incinerator is
1. Effective for thermally resistant articles
2. Useful for cytotoxic drugs
3. Good disinfection efficiency
4. Low pollutant emissions

Correct answer: 3. Good disinfection efficiency